Origin of maxillary artery:
1. Angle of mandible
2. Neck of condyle
3. Body of mandible
4. Coronoid

Correct answer: 2. Neck of condyle